Identification of gross osseous changes from a lateral aspect can be viewed by which projection?
1. Transcranial
2. Transorbital
3. Transpharyngeal
4. Translaryngeal

Correct answer: 1. Transcranial